What is the mechanism of acute rheumatic lever -
1. Cross reactivity with host antigen
2. Innocent by slender effect
3. Due to toxin secretion by streptococci
4. Release of pyrogenic cytokines

Correct answer: 1. Cross reactivity with host antigen

Explanation: Rheumatic fever is an acute, immunologically mediated, multisystem inflammatory disease that occurs after group A b-hemolytic streptococcal infections (usually pharyngitis, but also rarely with infections at other sites such as skin). Rheumatic heart disease is the cardiac manifestation of rheumatic fever. Acute rheumatic fever is a hypersensitivity reaction classically attributed to antibodies directed against group A streptococcal molecules that also are cross-reactive with host antigens. (Robbins basic pathology,9th edition,pg no.391)